After putting POP cast for supracondylar fracture a child developed severe pain over forearm. He is unable to move the fingers fully. He says this pain is terrible than the pain of the fracture. Volkmann's ischemia is suspected. The muscle which is affected by Volkmann's ischaemia most commonly is:
1. Pronator teres
2. Flexor carpi radialis longus
3. Flexor digitorum profundus
4. Flexor digitorum superficialis

Correct answer: 3. Flexor digitorum profundus

Explanation: Volkmann's ischaemia is an ischemic injury to the muscles and nerves of the flexor compartment of the forearm. This occurs due to the occlusion of the brachial artery following a supracondylar fracture. The muscles supplied by the anterior interosseous artery are most susceptible to ischemic damage because this artery is an end artery. Most commonly affected muscles are the flexor pollicis longus and flexor digitorum profundus (medial-half). Severe pain will be present over forearm usually over the flexor aspect of the forearm when the fingers are extended passively. Ischemic pain is much severe than the pain due to the fracture. Ref: Essential Orthopaedics by Maheshwari, 3rd edition, Page 83-84.